A man who is working in marine timbers presented with a particular appearance on nails which is diagnosed as Mee's lines. Mee's lines are seen in poisoning with:
1. Arsenic
2. Lead
3. Mercury
4. Copper

Correct answer: 1. Arsenic

Explanation: Dermatologic effects of Arsenic poisoning: Findings occasionally appear after a delay of 1-6 weeks. Desquamation (particularly involving the palms and soles) A diffuse maculopapular rash Periorbital edema Transverse white striae in the nails (Aldrich-Mees lines) may become apparent months after an acute intoxication. Ref: Kosnett M.J. (2012). Chapter 24. Arsenic. In K.R. Olson (Ed), Poisoning & Drug Overdose, 6e.